ITP false is ?
1. Plattet transfusion should be avoided
2. Anticedent history of febrile illness
3. Overactive immune system
4. Steroid should be avoided

Correct answer: 4. Steroid should be avoided

Explanation: Ans. is 'd' i.e., Steroid should be avoided Idiopathic thrombocytopenic purpura (ITP) Commonest bleeding disorder presenting in children between 1-7 year of age. ITP is proposed to be occur due to over active immune response. Antecedent H/o febrile illness present. Treatment Platlet transfusion should be avoided IVIG or steroid.